Keratoderma is a feature of -
1. Pityriasis rubra pilaris
2. Pemphigus
3. Pityriasis rosea
4. Psoriasis

Correct answer: 1. Pityriasis rubra pilaris

Explanation: pityriasis rubra pilaris: progress to erythroderma- with islands of sparing skin-nappies claires Fitzpatrick texbook of dermatology, page 532